All are seem in malignant hypertension except
1. Hyaline arteriosclerosis
2. Fibrinoid necrosis
3. Necrotising glomerulonephritis
4. Hyperplastic arteriosclerosis

Correct answer: 1. Hyaline arteriosclerosis

Explanation: Hyaline arteriosclerosis is seen in Essential / Benign Hypertension.